Which cholesterol is designated as “Good Cholesterol” -
1. HDL
2. VLDL
3. LDL
4. IDL

Correct answer: 1. HDL

Explanation: o The level of HDL in serum is inversely related to the incidence of MI.
o As it is “antiatherogenic” or “protective” in nature, HDL is known as “good cholesterol”.